Computer caries risk program that records several data points and produces a coloured graph is:
1. Cariogram.
2. CAMBRA.
3. ADA.
4. AAPD

Correct answer: 1. Cariogram.

Explanation: Cariogram coloured graph:-
Red for = bacteria
Dark blue for = diet
Light blue for = susceptibility
Yellow for = circumstance
Green for = chance of avoiding caries